All of the following findings would be expected in a person with coarctation of the aorta except -
1. A systolic murmur across the anterior chest and back and a high-pitched diastolic murmur along the left sternal border
2. A higher blood pressure in the right arm than in the left arm
3. Inability to augment cardiac output with exercise
4. Persistent hypertension despite complete surgical repair

Correct answer: 3. Inability to augment cardiac output with exercise